Lateral boundary of cubital fossa is formed by:
1. Brachioradialis
2. Pronator teres
3. Brachialis
4. Biceps

Correct answer: 1. Brachioradialis

Explanation: Brachioradialis Boundaries of cubital fossa- Laterally - Medial border of brachioradialis. Medially - Lateral border of pronator teres. Base - It is directed upwards, and is represented by an imaginary line joining the front of two epicondyles of the humerus. Apex - It is directed downwards, and is formed by the area where brachioradialis crosses the pronator teres muscle. Ref: Gray's anatomy text book of anatomy BD chaurasia 21st Ed.